Lab values: pH 7.42, paCO2- 25, HCO3- 18. Interpret-
1. Metabolic acidosis, partially compensated
2. Respiratory acidosis, partially compensated
3. Respiratory acidosis, fully compensated
4. Respiratory alkalosis, fully compensated

Correct answer: 4. Respiratory alkalosis, fully compensated

Explanation: pH - 7.42 (N) PaCO2 - 25 (low) since Value of pH is towards alkaline side,low pCO2 explains alkaline pH.(Respiratory alkalosis) HCO3 - 18 (low) | in CO2 = 40-25 = 15 * For chronic change for every 10 mmHg fall in PCO2- HCO3 | by 4 mEq. HCO3 to be | by 4 x1 .5 = 6 HCO3 = 18 -means compensation is going fine . since pH is normal so we can say that condition is fully compensated so this is the case of Respiratory alkalosis,fully compensated.